Extent of cardiotoxicity of chemotherapy and radiotherapy is best diagnosed by:
1. Echocardiogram
2. Radionuclide scan
3. ECG
4. Endomyocardial biopsy

Correct answer: 4. Endomyocardial biopsy

Explanation: Ans. Endomyocardial biopsy